Most common benign breast tumour:
1. Fibroadenoma
2. Fibroadenosis
3. DCIS
4. Phyllodes tumour

Correct answer: 1. Fibroadenoma

Explanation: Fibroadenoma is the most common benign breast tumor which is most commonly seen in young females. Fibroadenoma is also known as "Breast Mouse" due to its characteristic high mobility. On the other hand, fibro adenosis is a benign breast diseaseso it is excluded On Mammography (if performed on older female) there is popcorn calcification. The name DCIS(Ductal carcinoma in-situ) suggests its malignancy and hence can be excluded. Phylloides tumor or Cystosarcoma Phylloides is a malignant tumor.